Diagnosis of Gestational hypeension is made if blood pressure is
1. > 130/90 mmHg after 20weeks in previously normotensive patient
2. > 140/90 mmHg after 20weeks in previously normotensive patient
3. > 150/90 mmHg after 20weeks in previously normotensive patient
4. > 160/90 mmHg after 20weeks in previously normotensive patient

Correct answer: 2. > 140/90 mmHg after 20weeks in previously normotensive patient

Explanation: Diagnostic Criteria for Pregnancy-Associated HypeensionConditionCriteriaGestational HypeensionBp > 140/90 mmHg after 20weeks in previously normotensive womenPreeclampsiaHypeension andProteinuria orThrombocytopenia Renal Insufficiency cerebral symptoms Pulmonary edemaReference: William's Obstetrics; 24th edition; Chapter 40; Hypeensive disorders